Gerlach valve is present in -
1. Gall bladder
2. Nasolacrimal duct
3. Pancreatic duct
4. Vermiform appendix

Correct answer: 4. Vermiform appendix

Explanation: Ans. is 'd' i.e., Vermiform appendix o Gerlach's valve (valvula processus vermiformis) is a fold of mucous membrane found at opening of vermiform appendix of some people.